'Stalactite' growth is a feature of the following organism:
1. Haemophilus
2. Pasteurella
3. Corynebacterium
4. Mycoplasma

Correct answer: 2. Pasteurella

Explanation: Stalactite' growth is a feature of Pasteurella pestis. If Pasteurella pestis (Yersinia pestis) grown in a flask or broth with oil or ghee (clarified butter) floated on top (ghee broth) a characteristic growth occurs which hangs down into the broth from the surface, resembling stalactites (stalactite growth). Ref: Textbook of Microbiology By Ananthanarayan And Paniker, 6th edition, Page 299.